Which of the following is a step in the gluconeogenic pathway?
1. Pyruvate to Acetyl co A
2. Glucose 6 phosphate to fructose 6 phosphate
3. oxaloacetate to citrate
4. oxaloacetate to phosphoenol pyruvate

Correct answer: 4. oxaloacetate to phosphoenol pyruvate

Explanation: Pyruvate to acetyl co A is an anaerobic step in oxidation of glucose Glucose 6 phosphate to fructose 6 phosphate is a step in glycolysis oxaloacetate to citrate is a step in krebs cycle